Mayer Rokitansky Kuster Hauser syndrome
1. Ovaries, uterus fallopian tubes present
2. Uterus absent, fallopian tube ovaries present
3. All absent
4. Uterus present tubes and ovaries absent

Correct answer: 2. Uterus absent, fallopian tube ovaries present

Explanation: Mayer Rokitansky Kuster Hauser syndrome ; Mullerian Agenesis Disorder of genital development charecterised by absence of vagina, an absent or hypoplastic uterus and normal or hypoplastic fallopian tubes Typically ovaries are normal Secondary sexual charecters are well developed May be associated with urologic anomalies and Skeletal malformations Ref: Clinical Gynecologic Endocrinology and Infertility; Eigth Edition, Chapter 9